An environmentalist attempted to live in a desolate forest for 6 months but had to cut his experiment short when he began to suffer from bleeding gums, some teeth falling out, and red spots on the thighs and legs. This individual is suffering from an inability to properly synthesize which one of the following proteins?
1. Myoglobin
2. Hb
3. Collagen
4. Insulin

Correct answer: 3. Collagen

Explanation: The environmentalist is suffering from scurvy, a deficiency of vitamin C. The hydroxylation of proline and lysine residues in collagen requires vitamin C and oxygen. In the absence of vitamin C, the collagen formed cannot be appropriately stabilized (owing, in part, to reduced hydrogen bonding between subunits because of the lack of hydroxy proline) and is easily degraded, leading to the bleeding gums and loss of teeth. Globin synthesis might be indirectly affected because absorption of iron from the intestine is stimulated by vitamin C, but globin is not modified through a hydroxylation reaction. Iron is involved in heme synthesis, which regulates globin synthesis. Insulin and fibrillin synthesis is not dependent on vitamin C (lack of insulin will lead to diabetes, and mutations in fibrillin lead to Marfan syndrome).